False about Non competitive antagonism
1. Curve Flattens
2. Irreversible
3. Potency remains same
4. Efficacy remains same

Correct answer: 4. Efficacy remains same

Explanation: Efficacy decreases